Frieberg osteochondritis is
1. 2nd metatarsal head
2. 2nd metatarsal base
3. 5th metatarsal head
4. 5th metatarsal base

Correct answer: 1. 2nd metatarsal head

Explanation: Named Osteochondritis NAME OSTEOCHONDRITIC SITEBlount's disease ( Tibia Vara Medial side of the proximal tibial epiphysisCalve's disease Centre body nucleus of a vertebral bodyFrieberg infarction Metatarsal head ( 2nd MT is most common )Iselin disease 5th metatarsal boneKienbock disease Lunate Kohler disease Navicular Madelung deformity Distal radial physis Osgood-Schlatter disease Tibial tuberosityPanner's disease Capitulum Perthe's disease Femoral head Scheuermann's disease Ring epiphysis of a vertebral bodySevere's disease Calcaneum ( at the insertion site of tendon Achilles )Sinding -Johanssen- Larsen disease Lower pole of the patella(Refer: Mohindra's Fundamentals of Orthopedics, 2nd edition, pg no. 443, 458)